Deposition and degeneration of retina occurs in
1. Chloroquine
2. Quinine
3. Dapsone
4. INH

Correct answer: 1. Chloroquine

Explanation: (A) Chloroquine